Wilm's tumor is associated with all of the following except-
1. Aniridia
2. Hemihypertrophy
3. Mental retardation
4. Polycystic kidney

Correct answer: 4. Polycystic kidney

Explanation: Ans. is 'd' i.e., Polycystic kidney [Ref.: O.P. Ghai 8th/e Pg. 617)Wiliris tumor is associated with three distinct syndromes:WAGR syndromBack with Wiedemann syndromeDenys-Drash syndrome* Wilm's tumor* Enlargement of body organs* Gonadal dysgenesis (Male pseudo-hermaphrodite)* Aniridia* Hemihypertrophy * Genital abnormalities* Renal medullary cysts * Mental Retardation* Adrenal cytomegaly : abnormal large cells in adrenal cortex* Nephropathy leading to Renal failure